Which is not a 2nd generation anti-histamine agents
1. Cetirizine
2. Cyclizine
3. Loratidine
4. Fexofenadine

Correct answer: 2. Cyclizine

Explanation: Anti histamines are classified into first generation and second generation compounds on the basis of CNS penetration and anti cholinergic properties. First generation anti-histamine can penetrate blood brain barrier and possess additional anti cholinergic properties which are lacking in second generation drugs. Cyclizine is a first generation where as cetrizine, loratidine and fexofenadine are second generation drugs Refer Goodman & Gilman 12/e p921